Howship-Romberg sign is associated with:
1. Splenic rupture
2. Obturator hernia
3. Diaphragmatic hernia
4. Carcinoma rectum

Correct answer: 2. Obturator hernia

Explanation: Obturator hernia